Kaplan Meier method is used for:
1. Prevalance
2. Survival
3. Frequency
4. Incidence

Correct answer: 2. Survival

Explanation: Ans. is 'b' i.e. Survival The Kaplan-Meier estimator (also known as the product limit estimator) estimates the survival function from lifetime data. In medical research, it is used to measure the fraction of patients living for a certain amount of time after treatment.